Hyaline Cartilage extends upto
1. Trachea
2. Bronchus
3. Respiratory Bronchioles
4. Terminal Bronchioles

Correct answer: 2. Bronchus

Explanation: Hyaline Cartilage extends upto Bronchus